All the following are the indicators for single visit endodontics EXCEPT
1. Acute inflammation of the periapex
2. Nonvital teeth with sinus tract
3. Vital tooth
4. Fractured tooth

Correct answer: 1. Acute inflammation of the periapex